Which of the following describes the pelvic outlet
1. Angle of pubic arch is less than 90 degrees.
2. Base of posterior triangle is the coccyx.
3. Descending inferior pubic rami form lateral boundaries of posterior triangle.
4. Common base of the two triangles is formed by a line drawn between the two ischial tuberosities.

Correct answer: 4. Common base of the two triangles is formed by a line drawn between the two ischial tuberosities.

Explanation: Pelvic outlet consists of 2 triangular areas with a common base, which is a line drawn between the two ischial tuberosities.
Angle of pubic arch is 90 → 100 degrees.
Lateral boundaries of posterior triangle is formed by sacrotuberous ligaments.